Vascular repair to be done in which Gustilo Anderson type -
1. IIIc
2. I
3. II
4. IIIb

Correct answer: 1. IIIc

Explanation: There are three grades of severity. In type III A the fractured bone can be adequately covered by soft tissue despite the laceration. In type III B there is extensive periosteal stripping and fracture cover is not possible without use of local or distant flaps. The fracture is classified as type III C if there is an arterial injury that needs to be repaired, regardless of the amount of other soft-tissue damage. The incidence of wound infection correlates directly with the extent of soft-tissue damage, rising from less than 2 per cent in type I to more than 10 per cent in type III fractures. REF:Apley's system of orthopaedics- 9th edn-pg no 706.